Which of he following is not a cyclin dependent kinase (CDK) inhibitor?
1. p21
2. p27
3. p53
4. P57

Correct answer: 3. p53

Explanation: . p53